Associated with objective tinnitus?
1. Meiners disease
2. Acoustic neuroma
3. Ear wax
4. Glomus tumor

Correct answer: 4. Glomus tumor

Explanation: Ans. is `d' i.e., Glomus tumor Tinnitus Tinnitus is ringing sound or noise in the ear. The characteristic feature is that the origin of this sound is within the patient. Two types of tinnitus have been described : ? a. Subjective I. Otologic II . Non-otologic Impacted wax Disease of CNS Fluid in the middle ear Anaemia Acute and chronic otitis media Arteriosclerosis Abnormally patent eustachian tube Hypertension Meniere's disease Hypotension Otosclerosis Hypoglycaemia